Irreversible dementia is caused due to:
1. Subarachnoid hemorrhage
2. Wilson's disease
3. Normal pressure hydrocephalus (NPH)
4. Vascular dementia

Correct answer: 4. Vascular dementia

Explanation: Vascular dementia is a cause of progressive dementia due to impaired blood supply to the brain.